An 8 yr. old child with large front teeth having jagged margins seeks consultation. What is the treatment plan:
1. Smoothen the jagged margins and apply fluoride varnish
2. Extraction
3. Assure and send him back
4. Build up other teeth to large size

Correct answer: 3. Assure and send him back